Positive Kehrs sign is -
1. Haemopertionium
2. Acute cholecystitis
3. Acute pancreatitis
4. Amoebic abscess

Correct answer: 1. Haemopertionium

Explanation: Ans. is 'a' i.e., Haemoperitoneum